Which is not a deep heat therapy.
1. Short wave diathermy
2. Infra Red
3. USG
4. Microwave

Correct answer: 2. Infra Red

Explanation: B i.e. Infra red